Total dioptric power of the crystalline lens inside the eye is:
1. 41 D
2. 18 D
3. 59 D
4. 72 D

Correct answer: 2. 18 D

Explanation: Diopteric power of the crystalline lens is +18 D. Total refractive power of the entire eye is +59 D; most of the refraction occurs at the anterior surface of the cornea (41 D).